Endemic disease is defined as a disease-
1. Occurance regularly in expected frequency
2. Occurance irregularly from time to time
3. Occurance in excess of expected frequency
4. Occurance in large population

Correct answer: 1. Occurance regularly in expected frequency

Explanation: Ans. is 'a' i.e., Occurance regularly in expected frequency * Sporadic - Disease occuring irregularly from time to time.* Endemic - Disease occuring regularly in expected frequency.* Epidemic - Disease occuring in excess of expected frequency.* Pandemic - Epidemic affecting a large proportion of population over a wide geographic area.